An increased incidence of cholangiocarcinoma is seen in all of the following, EXCEPT:
1. Liver flukes
2. Hydatid cyst of liver
3. Sclerosing cholangitis
4. Polycystic disease of liver

Correct answer: 2. Hydatid cyst of liver

Explanation: Predisposing factors for Cholangiocarcinoma are primary sclerosing cholangitis, liver fluke in Asians caused by opisthorchis viverrini and clonorchis sinensis, chronic biliary inflammation and injury caused by alcoholic liver disease, choledocholithiasis, choledochal cysts and caroli's disease. Ref: Harrison's Principles of Internal Medicine, 18th Edition, Chapter 92, Pages 784, 1762-1763; Bailey and Love's Short Practice of Surgery, 24th Edition, Page 1077.